All of the following ae used as continuous cell lines in culture and isolation of viruses, EXCEPT:
1. LLC-MK2
2. Hep-2
3. WT-38
4. HeLa

Correct answer: 3. WT-38

Explanation: Isolation of viruses in cell culture is recommended as the gold standard for a definitive aetiological diagnosis. LLC-MK2, Vero cell lines, HeLa cells, Hep-2 are used as continuous cell lines. The two cell lines (Vero and LLC-MK2) displayed identical efficacy in the early detection of the mumps virus, with 100% of the samples showing positive in both cell lines at 48 hours of incubation. Thus, the shell vial method provides a notable reduction in the time needed for the isolation of the virus compared with that required by the conventional tube culture method.